Hashimoto's thyroiditis-True are all EXCEPT
1. Follicular destruction
2. Increase in lymphocytes
3. Oncocytic metaplasia
4. Orphan Annie eye nuclei

Correct answer: 4. Orphan Annie eye nuclei